Most common cause of chronic pancreatitis is:-
1. Alcohol
2. Gall stones
3. Trauma
4. Smoking

Correct answer: 1. Alcohol

Explanation: Most common cause of chronic pancreatitis is alcohol